Propranolol is contraindicated in a patient of angina pectoris who is already receiving:
1. Nifedipine
2. Aspirin
3. Verapamil
4. Isosorbide mononitrate

Correct answer: 3. Verapamil